Traditional unit of radiation exposure is:
1. Air kerma.
2. Roentgen.
3. Coulomb/kg.
4. Gray.

Correct answer: 2. Roentgen.